Hepatitis B virus in infected people can be detected in all of the following, EXCEPT:
1. Semen
2. Saliva
3. Stool
4. Blood

Correct answer: 3. Stool

Explanation: Hepatitis B can be detected in the blood, sweat, tears, saliva, semen, vaginal secretions, menstrual blood and breast milk. It is not transmitted through fecal oral route. Only Hepatitis A and E is transmitted through fecal oral route. Hepatitis B is not transmitted transplacentally to the fetus in utero, but it is acquired during the birth process by the swallowing of infected blood or fluids or through abrasions. The rate of transmission of infection is high up to 90% when infants are born to mothers who have acute hepatitis B infection or are HBsAg and HBeAg positive. Hepatitis B is an enveloped DNA virus belonging to the family Hepadnaviridae. Other than vertical route it is also spread parenterally and through sexual contact. Exposure to hepatitis viruses from direct contact with blood or other body fluids, probably through needlestick injuries, has resulted in a risk of hepatitis B infection in medical personnel. Ref: Dr. Melissa Palmer's Guide to Hepatitis & Liver Disease By Melissa Palmer page 92, Ray C.G., Ryan K.J. (2010). Chapter 13. Hepatitis Viruses. In C.G. Ray, K.J. Ryan (Eds), Sherris Medical Microbiology, 5e.